Lining epithelium of vagina is
1. Pseudostratified columnar epithelium
2. Keratinized stratified squamous epithelium
3. Non keratinized stratified squamous epithelium
4. Cliated columnar epithelium

Correct answer: 3. Non keratinized stratified squamous epithelium

Explanation: INDERBIR SINGH'S TEXTBOOK OF HUMAN HISTOLOGY-PAGE NO:359Mucous membraneThe mucous membrane shows numerous longitudinal folds and is firmly fixed to the underlying muscle layer.it us lined by stratified squamous epithelium(non keratinized)